All of the following are involved in graft vs host disease except
1. Kidney
2. Liver
3. Stomach
4. Skin

Correct answer: 1. Kidney

Explanation: GVHD characteristically involves liver, gastrointestinal tract and skin. It occurs as a complication of hematopoietic stem cell transplant when immunocompetent cells and precursors recognize host tissue alloantigens and react against them.